In terms of the leads "looking at" the heart walls, which of the following is an odd one out?
1. Lead II
2. Lead III
3. Lead aVL
4. Lead aVF

Correct answer: 3. Lead aVL

Explanation: Leads II, III, and aVF are called "inferior leads". These leads have their positive (or exploring) electrode on the foot. These 3 leads look to the heart from below; i.e., they are directly looking at the inferior wall of the heart. Any ECG changes in these 3 leads will be reflective of pathology of the inferior wall (e.g., inferior wall MI). avL looks at the heart from left side, hence it is the odd one out.